Endometrial carcinoma on histopathology is which type
1. Adenocarcinoma
2. Clear cell
3. Squamous cell carcinoma
4. Transistional cell carcinoma

Correct answer: 1. Adenocarcinoma

Explanation: Endometrioid carcinomas closely resemble normal endometrium and may be exophytic or infiltrative . They include a range of histologic types, including those showing mucinous, tubal (ciliated), and squamous (occasionally adenosquamous) differentiation. ref : Robbins Basic Pathology, 9E,page-692